A 30-year-old multiparous female complains of a painless ulcer in vulva. She has several sexual partners. Her previous pregnancy has ended in a still birth at 24 weeks. What is the first test, which should be performed in this case:
1. ELISA for HIV
2. VDRL Test
3. Culture of scraping from the ulcer
4. Election microscopy of scraping from the ulcer

Correct answer: 2. VDRL Test

Explanation: Ans is b, i.e. VDRL TestRef: Dutta Gynae 6th/ed, p262The female is presenting with a single painless ulcer, she has multiple sex partners and her pregnancy resulted in still birth at 24 weeks. All this points towards syphilis as the diagnosis.The first test to be performed in this case is VDRL test (screening test).Confirmatory test = specific treponemal test like Treponema haemaggluteration test or fluorescent treponemal antibody test.InfectionDiagnosisChlamydiaNAAT or PCRGonorrheaNAATChancroidCulture of scrapings from ulcerGenital herpesElectron microscopy of scrapings from ulcerLGVELISA test